A cut injury of the ulnar nerve results in -
1. Total claw hand
2. Paralysis of all lumbricals
3. Paralysis of all interossei
4. Paralysis of all slips of the flexor digitonun profundus

Correct answer: 3. Paralysis of all interossei

Explanation: Ulnar nerve injury will cause paralysis of all interossei, medial two lumbricals, hypothenar muscles, adductor pollicis, FCU and medial two slips of FDP.
There is ulnar claw hand (not total claw hand)